For satisfactory vision the minimum illumination accepted is –
1. 15 to 20 foot candles
2. 30 to 40 candles
3. 40 to 50 candles
4. 70 to 90 candles

Correct answer: 1. 15 to 20 foot candles